Enlargement of blind spot is indicative of -
1. Papillitis
2. Papilloedema
3. Avulsion of optic nerve
4. Retinal detachment

Correct answer: 2. Papilloedema